Intermediate host for guinea worm -
1. Fish
2. Man
3. Cyclops
4. Crab

Correct answer: 3. Cyclops

Explanation: Ans. is 'c' i.e., Cyclops Dracunculus medinensiso Also known as Guinea worm, serpent worm or dragon worm, medina worm.o Habitato Definitive hosto Intermediate hosto Mode of infectiono Infective form-----Subcutaneous tissues especially of legs, arms and back.ManCyclopsDrinking of water containing cyclop s3rd stage larva in cyclops.